Various factors are involved in inflammation. Which among the following is NOT a mediator of inflammation?
1. Tumour Necrosis Factor (TNF)
2. Interferon
3. Myeloperoxidase
4. Prostaglandins

Correct answer: 3. Myeloperoxidase

Explanation: Tumour necrosis factor, interferon, prostaglandins are mediators of inflammation. The protein MPO is a marker of azurophil granules. MPO reacts with H2O2, formed by the NADPH oxidase, and increases the toxic potential of this oxidant. Through oxidation of chloride, tyrosine, and nitrite, the H2O2-MPO system induces formation of hypochlorous acid (HOCl), other chlorination products, tyrosine radicals, and reactive nitrogen intermediates, all of which can attack the surface membrane of microorganisms. Ref: Borregaard N., Boxer L.A. (2010). Chapter 66. Disorders of Neutrophil Function. In J.T. Prchal, K. Kaushansky, M.A. Lichtman, T.J. Kipps, U. Seligsohn (Eds), Williams Hematology, 8e.